Which of the following is not a typical feature of Meniere's disease?
1. Sensorineural deafness
2. Pulsatile tinnitus
3. Vertigo
4. Fluctuating deafness

Correct answer: 2. Pulsatile tinnitus